A patient, Rama was diagnosed to be having febrile convulsions in the paediatric emergency. Which of the following can be used for the treatment of this patient ?
1. Intramuscular phenobarbitone
2. Intravenous phenytoin
3. Rectal diazepam
4. Oral sodium valproate

Correct answer: 3. Rectal diazepam